Basal cell carcinoma is also known as:
1. Rodent ulcer
2. Tear cancer.
3. Both.
4. None.

Correct answer: 3. Both.